Clavipectoral fascia is not pierced by?
1. Medial pectoral nerve
2. Lateral pectoral nerve
3. Cephalic vein
4. Thoracoacromian artery

Correct answer: 1. Medial pectoral nerve

Explanation: ANSWER: (A) Medial pectoral nerveREF: BDC 4th edition vol 1 page 46CLAVIPECTORAL FASCIA:Extent: from clavicle above to axillary fascia below.Upper part splits to enclose subclavius muscle while lower part splits to enclose pectoralis minor muscle.It helps to pull up axillary fascia.Upper thickened part is called the costocoracoidal ligament.Structures piercing clavipectoral fascia:Lateral pectoral nerveCephalic veinThoracoacromial vesselsLympahtics from the breast and pectoral region